A 20-year-old male has type 1 diabetes mellitus. For tight control of his blood sugar levels, the most appropriate regimen is?
1. Evening injections of mixed regular insulin and insulin glargine
2. Morning injections of insulin detemir, supplemented by small amounts of insulin aspart at food times
3. Morning injection of NPH insulin and evening injection of regular insulin
4. Morning injections of mixed insulin lispro and insulin glulisine

Correct answer: 2. Morning injections of insulin detemir, supplemented by small amounts of insulin aspart at food times

Explanation: For good control of blood sugar, long acting insulin is given in morning to establish baseline levels of insulin. This is followed by rapid acting insulins just before meals. Long acting insulin include: Glargine, detemir, degludec Rapid acting insulin include: Lispro, aspart, glulisine